A 17 years male presented with swelling in the cheek with recurrent epistaxis. Most likely diagnosis is
1. Angiofibroma
2. Carcinoma nasopharynx
3. Rhabdomyosarcoma
4. Ethmyoid polyp

Correct answer: 1. Angiofibroma

Explanation: A. i.e. (Angiofibroma) (230 - Dhingra 4th) (296 - maqbool 11th)NASOPHARYNGEAL ANGIOFIBROMA* Benign but locally invasive lesion of the nasophagrynx* Exclusively in males 10 and 25 years of age* Lesions arise from the ventral periosteum of the skull as a result of hormonal (imbalance or persistence of embryonic tissue* Gradually increasing nasal obstruction and recurrent attacks of epistaxis are the common presenting symptoms* Probing or palpation of the nasopharynx should not be done (Biopsy is contraindicated)*** ** CT scan of head with contrast enhancement is now the investigation of choice* **Surgical excision - Transpalatine + sublabial (Sardanas approach) is now the treatment of choice* Concomitant RT and cisplatin, followed by adjuvant chemotherapy is currently considered the best treatment of naso pharyngeal carcinoma.